Dupuytren's contracture can be caused by:
1. Eptoin
2. Alcoholism
3. Diabetes
4. All of the above

Correct answer: 4. All of the above

Explanation: DUPUYTREN'S CONTRACTURE: hypertrophy and contracture of superficial palmar fascia Higher incidence in epileptics receiving phenytoin therapy, diabetics, alcoholic cirrhosis, AIDS, pulmonary tuberculosis There is proliferating fibroplasia of the subcutaneous palmar tissue, forming nodules. It results in finger contractures, thinning of subcutaneous fat, pitting of skin and knuckle pads. It is more common in males. Joint involved: MCP>PIP>DIP Finger involved: Ring>Little The trauma of chronic repetitive nature such as vibrations of machines is a frequent cause Though surgery is the best treatment of choice, it is delayed until the contractures develop. Treatment of Dupuytren Disease: Nonoperative: External beam radiation Steroid injection Collagenase Operative: Subcutaneous fasciotomy Partial (selective) fasciectomy Complete fasciectomy Fasciectomy with skin grafting Staged external fixation Arthrodesis Amputation